A patient is admitted with a stab wound in the left anterior chest wall in the parasternal line. Which cardiac chamber is most likely to be injured?
1. Right atrium
2. Right ventricle
3. Aorta
4. Left ventricle

Correct answer: 2. Right ventricle

Explanation: Stab wound in the left anterior chest wall in the parasternal line-Right Ventricle is injured